All are true about skin grafting, except :
1. Partial thickness graft involves epidermis and part of dermis.
2. Full thickness graft includes epidermis, dermis, without subcutaneous tissue.
3. For large areas full thickness graft is used.
4. Full thickness graft has cosmetic value.

Correct answer: 3. For large areas full thickness graft is used.

Explanation: For large areas, partial thickness graft is used. This is because when a partial thickness graft is lifted from the donor site, a part of dermis is left at the donor site which causes spontaneous re-epithelization of the donor site. Because of this healing ability of the donor site, large partial thickenss grafts can be prepared.